Rothera's test is utilized for detection of?
1. Glucose
2. Proteins
3. Urea
4. Ketone bodies

Correct answer: 4. Ketone bodies

Explanation: Ans. D. Ketone bodiesTests in biochemistry:a. Ketone bodies - Rothera's testb. Reducing sugars - Benedict's test, Fehling's testc. Proteins - Heller's nitric acid test, Heat and acetic acid testd. Bile salts - Hay's teste. Bile pigments - Fouchet's testf. Blood - Benzidine test